What is the most common microorganism found in pediatric subacute infec ve endocarditis?
1. Staph aureus
2. Strep viridans
3. E. coli
4. Pneumococci

Correct answer: 2. Strep viridans